Brown pigmented spots of iris in neurofibromatosis are called:
1. Lisch nodules
2. Verocay bodies
3. Crowe’s sign
4. Petechiae

Correct answer: 1. Lisch nodules

Explanation: Lisch nodules, translucent brown-pigmented spots on the iris, are found in nearly all affected individuals.
Diagnostic Criteria for Neurofibromatosis Type I (NF1)
The diagnostic criteria are met, if a patient has two or more of the following features:

Six or more café au lait macules more than 5 mm in greatest diameter in prepubertal persons and more than 15 mm in greatest diameter in postpubertal persons.
Two or more neurofibromas of any type or one plexiform neurofibroma.
Freckling in the axillary or inguinal regions.
Optic glioma.
Two or more Lisch nodules (iris hamartomas).
A distinctive osseous lesion such as sphenoid dysplasia or thinning of long bone cortex with or without pseudoarthrosis.
A first-degree relative (parent, sibling or offspring) with NF1, based on the previously mentioned criteria.

Ref: Oral pathology Neville, 4th ed page no 495,496